Clinical scenario having scrotum with bag of worms:
1. Varicocele
2. Hydrocele
3. Torsion of testis
4. Congenital hernia

Correct answer: 1. Varicocele

Explanation: Ans. (a) VaricoceleRef: Bailey 26th Edition Page 1381* On palpation of varicocele with the patient standing the varicose plexus feels like a bag of worm.